All of the following are predictable adverse effects of treatment with phenothiazines such as chlorpromazine, EXCEPT:
1. Orthostatic hypotension
2. Parkinson's syndrome
3. Excessive salivation
4. Hyperprolactinemia

Correct answer: 3. Excessive salivation

Explanation: The antipsychotic agent chlorpromazine is the prototype for the phenothiazines, which exert their therapeutic actions through their ability to block several receptor classes, the most prominent being dopamine receptors. Most antipsychotic agents strongly block D 2 receptors, especially in the mesolimbic system. Newly developed antipsychotic agents seem to block 5-HT 2 receptors better than D 2 receptors, suggesting that blockade of dopamine receptors is not the entire story for antipsychotic activity. Phenothiazines also possess antimuscarinic activity, which results in blurred vision, dry mouth, difficulty in urination, and constipation. a1-Blocking activity results in orthostatic hypotension. Blockade of dopamine receptors results in parkinsonism and hyperprolactinemia, which can lead to amenorrhea and infertility in females and impotence in males. Ref: Sanders-Bush E., Hazelwood L. (2011). Chapter 13. 5-Hydroxytryptamine (Serotonin) and Dopamine. In L.L. Brunton, B.A. Chabner, B.C. Knollmann (Eds), Goodman & Gilman's The Pharmacological Basis of Therapeutics, 12e